The following drug can be given safely in pregnancy:
1. Propylthiouracil
2. Methotrexate
3. Warfarin
4. Tetracycline

Correct answer: 1. Propylthiouracil

Explanation: Warfarin: causes fetal warfarin syndrome which includes chondrodysplasia punctata,epiphyseal stippling,nasal hypoplasia,optic atrophy,microcephaly tetracycline:discoloration of deciduous teeth methotrexate:folate defeciency TEXTBOOK OF OBSTETRICS,SHEILA BALAKRISHNAN,Pg no:565,2nd edition